Hypothesis is not tested by?
1. Descriptive studies
2. Analytical studies
3. Case control studies
4. Cohort studies

Correct answer: 1. Descriptive studies

Explanation: ANSWER: (A) Descriptive studiesREF: Park 20th ed p. 66The objective of analytical studies is to test the hypothesis and not formulate it.The objective of descriptive studies is to formulate hypothesis and not test it.